The mechanism of short term to long term memory formation occurs in _____ and is called ______
1. Neocortex ; Post tetanic potentiation
2. Amygdala; Long term depression
3. Hippocampus; Long term potentiation
4. Cerebellum; Post term potentiation

Correct answer: 3. Hippocampus; Long term potentiation

Explanation: Long term potentiation

It is a mechanism of short term to long term memory formation
It occurs in hippocampus, cortex.